Cells seen in MI at 48 hours are -
1. Polymorphs
2. Fibroblasts
3. Lymphocytes
4. Macrophages

Correct answer: 1. Polymorphs